All are seen in morphine poisoning except:
1. Cyanosis
2. Pinpoint pupil
3. Hypertension
4. Respiratory depression

Correct answer: 3. Hypertension

Explanation: Hypotension is a feature and not hypertension Features of Morphine Poisoning: Euphoria - Initial euphoria followed by period of sedation (nodding off) - Lethal - respiratory depression Slow respiration, hypothermia, hypotension bradycardia, cyanosis, pin point pupil, cyanosis